Which of the following parameters adds predictive information regarding cardiovascular risk stratification and the measurement of serum cholesterol?
1. Anti-chlamydia pneumoniae antibodies
2. C-reactive protein
3. Homocysteine
4. Plasminogen activator inhibitor 1

Correct answer: 2. C-reactive protein

Explanation: Recent studies have demonstrated that markers of inflammation correlate with coronary risk and that inflammation plays a role in atheromatous plaque instability. Elevations of C-reactive protein, (CRP) identify patients at increased risk of myocardial infarction (MI) and poor outcome of acute coronary syndromes. Measurement of CRP adds information regarding risk stratification to standard risk factor such as hypertension, diabetes, smoking, and lipids. Elevations in homocysteine, lipoprotein A, and plasminogen activator factor I have all been associated with an increased risk at cardiovascular events; however, at the time none have been shown to be useful in populations to improve risk stratification.